Commonest cause of sporadic encephalitis is:
1. Japanese B Virus
2. Herpes Simplex Virus
3. Human Immunodeficiency Virus
4. Rubeola Virus

Correct answer: 2. Herpes Simplex Virus

Explanation: Answer is B (Herpes simplex encephalitis): The most common cause of sporadic viral encephalitis is HSV-1